Spanish windlass was practices in Spain as a method of execution. It is a type of:
1. Bansdola
2. Mugging
3. Garrotting
4. Hanging

Correct answer: 3. Garrotting

Explanation: Garrotting Garrotting: One of the methods of hemicidal strangulation The victim is attacked from behind without warning and strangled by grasping throat or by throwing a ligature over the neck and tightening it quickly. In this way a single assailant can kill a healthy robust adult. Garrotting was practices as a mode of execution in Spain. Portugal and Turkey. In Spain it was known as `spanish windlass' in which an iron collar around the neck was tightened by a screw for strangling Other common methods of homicidal strangulation are: Throttling - by hand Bansdola - In this type of strangulation the neck is compressed between two sticks of bamboos one in front and other behind the neck. Both the ends are tied with a rope squeezing the victim to the death. Sometimes a single stick is placed across the .front of the neck with a foot on each end of the stick. Mugging - Strangulation is caused by holding the neck of the victim in the bend of the elbow.